Dowry deaths under IPC act -
1. 304A
2. 304B
3. 420
4. 498

Correct answer: 2. 304B

Explanation: According to Sec. 304- B IPC, where the death of a woman is caused by burns or bodily injury or occurs under abnormal circumstances within seven years of her marriage and it is shown that soon before her death she was subjected to cruelty or harassment by her husband or any relative of her husband for or in connection with any demand for dowry such death shall be called "dowry death" and such husband or relative shall be deemed to have caused her death. The imprisonment shall be punishment less than 7 years but may extend to life imprisonment. The usual defence is either suicide or accidental death. Inquest is usually done by a Magistrate or police officer not below rank of Deputy Superintendent of Police and autopsy by two doctors. Ref: Dr. K. S. Narayan Reddys Synopsis of Forensic Medicine & Toxicology 27th edition pg. 135.